Portal vein starts at level of?
1. L2
2. L3
3. L4
4. L5

Correct answer: 1. L2

Explanation: Ans. A L2Ref: Netter's Clinical Anatomy, 3rd ed. pg. 202* Portal vein starts at level of L2 vertebra and is formed by junction of superior mesenteric vein and splenic vein. It is 8 cm long and lies behind the neck of pancreas.* Normal portal vein pressure is 5-10 mm Hg.